The cell wall structure is found in all except-
1. Staph aureus
2. Pseudomonas aeruginosa
3. Mycoplasma pneumoniae
4. Corynebacterium diphtherae

Correct answer: 3. Mycoplasma pneumoniae

Explanation: Mycoplasma is a group of bacteria that are devoid of the cell wall and so are highly pleomorphic with no shape or size. They lack cell wall precursors like muramic acid or diaminopimelic acid. The cells are bounded by a soft trilaminar unit membrane containing sterols Ref :Ananthanarayan & paniker's Textbook of Microbiology 9th edition pg no 386